A 43 year old principal of a medical college comes for psychiatric evaluation. He reports that throughout his life he has worked hard and has lived a disciplined life. He always follows all the rules and does the 'right thing', however no one really likes him. The principal appears to have which of the following personality:
1. Schizoid
2. Paranoid
3. Anankastic
4. Borderline

Correct answer: 3. Anankastic

Explanation: Obsessive compulsive personality disorder / Anankastic PD - Preoccupied with rules and regulation Perfectionism that slows them down Stubborn and inflexible No time for leisure and no sense of humour No obsession and compulsion seen in anankastic